Leprosy affects all the following except:
1. Testes
2. Ovaries
3. Eyes
4. Nerves

Correct answer: 2. Ovaries

Explanation: Ans. is 'b' i.e., OvariesMycobacterium leprae grows best in cooler areas, e.g., peripheral nerves, anterior chamber of the eye, upper respiratory tract and testes. It spares warmer areas of the skin, e.g., axilla, groin, scalp and middle of the back.